Which of the following generations of amalgam exhibit highest nobility?
1. 3rd generation amalgam
2. 4th generation amalgam
3. 5th generation amalgam
4. 6th generation amalgam

Correct answer: 4. 6th generation amalgam

Explanation: The set amalgam exhibits the highest nobility of any previous amalgam and has been the most recent 6th generation of amalgam to be developed.
Reference: Marzouk Operative dentistry, pg-106